Stomach is derived from -
1. Foregut
2. Midgut
3. Hindgut
4. Allantois

Correct answer: 1. Foregut

Explanation: Ans. is 'a' i.e., Foregut o 1st part of duodenum and 2" part proximal to opening of pancreatic duct are derived from foregut.o 2nd part of duodenum distal to opening of pancreatic duct, 3rd and 4th part arederived from midgut.Part of gutDerivativesArteryForegutPharynxLower respiratory tractEsophagusStomachDuodenum upto the popening of the main pancreatic ductLiverPancreasCeliac trunkMidgutDuodenum distal to the opening of the main pancreatic ductSmall intestineAppendixCecumAscending colonTransverse colon upto th junction of right 2/3 and left 1/3Super mesenteric arteryHindgutLeft 1/3 of transverse colonDescending colonSigmoid colonRectumUpper part of anal canalInferior mesenteric artery'